Adductor pollicis is supplied by
1. Superficial branch of ulnar nerve
2. Deep branch of ulnar nerve
3. Superficial branch of median nerve
4. Deep branch of median nerve

Correct answer: 2. Deep branch of ulnar nerve

Explanation: Deep branch of ulnar nerve supplies the palmaris brevis muscle and muscles of hypothenar eminence , medial two lumbricals , 4-1 dorsal interossei muscles and 4-1 palmar interossei . B D Chaurasia 7th edition Page no : 182